A patient of 47 XXY karyotype presents with features of hypogonadism; likely diagnosis is:
1. Turners syndrome
2. Klinefelter syndrome
3. Edwards syndrome
4. Down syndrome

Correct answer: 2. Klinefelter syndrome

Explanation: KLEINELFELTER SYNDROME XXY male (XY male with an extra X chromosome) Enlarged breasts Sparse facial and body hair Small testes Azoospermia primary testicular failure Increase LH and FSH levels Androgen deficiency causes eunuchoid body proportions Absent facial, axillary, pubic, or body hair Gynecomastia Small testes and penis Diminished libido